Darting motility which occur in V.cholerae, also found in:
1. Shigella
2. Campylobacter jejuni
3. Pneumococcus
4. Bacillus anthrax

Correct answer: 2. Campylobacter jejuni

Explanation: Ans : B (Campylobacter jejuni) Campylobacter Jejuni"Direct microscopic examination-phase contrast or dark field microscopy to detect the darting or tumbling motility of the spiral rods"- Ananthanarayan 7th/407Shigella (A7th/285)They are non motile , nonsporing & non capsulatedPneumococcus (A7th/216)They are nonmotile" & nonsporingBacillus (A7th/241, 15)They are generally motile with peritrichous flagella (stately motility)", the anthrax bacillus being a notable exception.Aeromonas (A 7th/317)Aeromonas are polar flagellated organismTypes of MotilityTumbling - Listeria at 20-25degCStately - Clostridia Q, BacillusQCork screirV - T. pallidum QLashing - Borrelia QGliding - Mycoplasma QSwarming - Proteus mirabilisQ, P. vulgaris, Cl. tetani Q, Bacillus cereusDarting - V. Cholerae , Campylobacter